Not a cause of hemoptysis -
1. Pneumonia
2. Bronchiectasis
3. Empyema
4. Mitral stenosis

Correct answer: 3. Empyema